Fetal biophysical profile used for the assessment of fetal well-being does not includes:
1. Fetal breathing movements
2. Fetal tone
3. Amount fluid volume
4. Stress test

Correct answer: 4. Stress test

Explanation: Ans. D. Stress testFetal biophysical profile considers several parameters, which includes:a. Non-Stress testb. Fetal breathing movementsc. Gross body movementsd. Fetal muscle tonee. Amniotic fluid volume